Heart block is seen in:
1. Hypermagnesemia
2. Hypomagnesemia
3. Hypernatremia
4. Hypocalcemia

Correct answer: 1. Hypermagnesemia

Explanation: Hypermagnesemia slows the heart and leads to heart block Hypomagesemia leads to cardiac arrhythmias like SVT and VT